In Hydrofluoric acid poisoning, which electrolyte abnormality is not seen:
1. Hypernatremia
2. Hypomagnesemia
3. Hypocalcemia
4. Hyperkalemia

Correct answer: 1. Hypernatremia

Explanation: Hydrofluoric Acid :- Ingestion of hydrofluoric acid may be associated with significant systemic absorption and manifestations such as hypocalcaemia, acidosis, and shock. Hydroflouric acid burns results in bone destruction, and excruciating pain. HFA rapidly destroys the deep tissues. The mechanisms of toxicity are:1. Liquefactive necrosis.2. Decalcification and destruction of bone.3. Production of insoluble salts--calcium and magnesium fluoride.These effects result in hypocalcaemia and hypomagnesaemia On Dermal exposure: * Severe pain * Hydrofluoric acid readily penetrates the skin and mucous membranes, causing deep tissue destruction On ingestion:Severe, burning pain followed by retching and vomiting. Systemic fluoride toxicity may result in severe hypocalcaemia, hypomagnesaemia, hyperkalaemia, metabolic acidosis, and cardiac arrhythmias. Treatment: Topical Skin Therapy: Local application of 2.5% calcium gluconate gel is the treatment of choice.Systemic: IV calcium & Magnesium sulfate until the normal levels are reached in blood.